Stapes footplate covers
1. Round window
2. Oval window
3. Inferior sinus tympani
4. Pyramid

Correct answer: 2. Oval window

Explanation: B. i.e. Oval window